Antagonist of morphine is:
1. Naloxone
2. Nalosphine
3. Nalpuphine
4. Methadine

Correct answer: 1. Naloxone